Frequency of Beta waves
1. 5-10 Hz
2. 10-15 Hz
3. 13-30 Hz
4. None

Correct answer: 3. 13-30 Hz

Explanation: When attention is focused on something, the alpha rhythm is replaced by an irregular 13-30 Hz low-voltage activity, the beta rhythm(Ref: Ganong's Review of Medical Physiology, Twenty-Third Edition)